The endoscopic finding which suggests crohns in a patient with chronic diarrhea among the following is:
1. Transverse ulcer
2. Nodularity
3. Hypertrophic lesions
4. Anorectal lesions

Correct answer: 4. Anorectal lesions

Explanation: Endoscopic difference between tuberculosis and crohns: The ileo-cecal region is the most common site affected in either condition Findings favouring TB: 1. Transversely placed ulcers 2. Nodularity 3. Hypertrophic lesions 4. Involvement of fewer than four segments 5. Patulous ileocecal valve, 6. Pseudopolyps Findings favouring crohns: 1. Aphthoid or longitudinal, deep, fissuring ulcers 2. Cobblestone appearance are said to be more typical of CD 3. Ano-rectal lesions 4. Skip lesions in the colon Ref: World J Gastroenterol. 2011 January 28; 17(4): 433-443.